A female patient aged 45 years has multiple non-carious lesions and c/o sensitivity. On examination deep cervical abrasions are seen in all posterior teeth. Intra oral sinus is evident w.r.t. 24 & 25. Gingival recession is present in mandibular anterior teeth with gingival inflammation and bleeding on probing.

What is the treatment required for 24 &25
1. RCT
2. Apicectomy
3. Apexification
4. RCT followed by apical curettage

Correct answer: 1. RCT